Disciplinary control, over Registered Medical Practitioners is under -
1. State Medical Council
2. Indian Medical Council
3. Director of Medical and Health Services
4. Health secretary of State Government

Correct answer: 1. State Medical Council

Explanation: Disciplinary control over professional misconduct is primarily maintained by. SMC (State Medical Council).